Bronchiectasis is most common in which lobe -
1. Right upper lobe
2. Right middle lobe
3. Left upper lobe
4. Left lower lobe

Correct answer: 4. Left lower lobe